Helitrope rash is seen in ?
1. Psoriasis
2. Dermatomyositis
3. DLE
4. Pemphigus

Correct answer: 2. Dermatomyositis

Explanation: Ans. is 'b' i.e., Dermatomyositis Cutaneous signs of dermatomyosits Gottron's papules: - lilac or violaceous papules on knuckle, dorsa of hands. Gottron's sign : - Violaceous erythema with edema over shoulder, arms, forearms. Heliotrope sign : - Violaceous erythema with edema over eyelids, periorbital region. Poikiloderma : - Atrophy of skin, hypopigmentaion, dilated blood vessels over trunk. Mechanic hand : - Symmetric hyperkeratosis along ulnar aspect of thumb and radial aspect of fingers. Shawl Sign : - Violaceous erythema extending from dorsolateral aspect of hands, forearms, and arms to shoulder & neck. Calcinosis cutis : - Calcium deposits in skin (in Juvenile variant). Miscellaneous signs : - Photosensitivity, vasculitis, panniculitis, Nail-fold telangiectasia. Extracutaneous involvement 1. Proximal myositis 2. Cardiomyopathy 3. Raynaud's phenomenon 4 Arthralgia